Km changes and Vmax remains the same. What is the type of enzyme inhibition?
1. Competitive inhibition
2. Non-competitive inhibition
3. Uncompetitive inhibition
4. Suicide inhibition

Correct answer: 1. Competitive inhibition

Explanation: Ans. A. Competitive inhibitionCompetitive inhibition --Km increases and Vmax remains the same.Noncompetitive inhibition --Km remains the same and Vmax decreasesUncompetitive inhibition -- Both Km and Vmax decreases.